Child with erythematous non blanching bosselated lesion on right side of face, Rx is -
1. Erbium laser
2. ND -YAG laser
3. Flash light pumped dye laser
4. Q ruby laser

Correct answer: 3. Flash light pumped dye laser

Explanation: The history is suggesting of hemangioma laser used to treat hemangiomas pulsed dey laser 594nm intensed pulsed light 700-1100nm idvl textbook of dermatology page 1710